Which of the following suggest that the newborn infant is preterm?
1. Square window 0o
2. Popliteal angle <90o
3. Scarf sign ⇒ elbow cross midline
4. Posture ⇒ Flexed posture

Correct answer: 3. Scarf sign ⇒ elbow cross midline

Explanation: Sl No.
Characteristic
Preterm Infant
Term Infant




1
Posture
Extended
Flexed


2
Breast buds
< 5mm
> 5mm


3

Genitalia : Male 




a) Tests
b) Scrotal rugosity


Non - palpable
Abscent


Palpable
Present




Genitalia : Female



-

Prominent Clitoris
small labia minora


Labia major cover
labia minora and clitosis



4
Skin
Sticky, Friable transparant
Leathery wrinkled


5
Sole crease
None
Crease over entire sole


6

Square window






7
Arm recoil




8

Popliteal angle




180o



< 90o



9

Scarf sign




Elbow cross midline



Elbow do not cross midline